The treatment options for patients with RRMS (relapsing-remitting multiple sclerosis) are all except
1. IFN - 1 b
2. IFN - 1 a
3. Glatiramer acetate
4. TNF - a

Correct answer: 4. TNF - a

Explanation: Ans. is 'd' i.e., TNF - a